In Dewel's method of serial extraction procedure, the second step involved is to
1. Extract deciduous canine only
2. Extract first premolar
3. Extract first deciduous molar only
4. Extract both deciduous canine and first deciduous molar

Correct answer: 3. Extract first deciduous molar only